Trendelenberg test is positive due to injury to:
1. Sup gluteal nerve
2. Inf gluteal nerve
3. Obturator nerve
4. Tibial nerve

Correct answer: 1. Sup gluteal nerve

Explanation: A.i.e. Superior gluteal nerve